Hydramnios is complicated by all except:
1. Placenta abruptio
2. Pre-eclampsia
3. Post dated pregnancy
4. Atonic Hemorrhage

Correct answer: 3. Post dated pregnancy

Explanation: Ans. C: Post Dated Pregnancy Complications during pregnancy: Pre-eclampsia (25%) Malpresentations Premature rupture of membranes Preterm labour Accidental hemorrhage Complications during labour: Early rupture of membranes Cord prolapsed Uterine inertia Retained placenta, postpartum hemorrhage